The term post traumatic epilepsy refers to seizures occuring -
1. Within moments of head injury
2. Within 7 days of head injury
3. Within several weeks to months after head injury
4. Many years after head injury

Correct answer: 3. Within several weeks to months after head injury